Which of the following is ultrastructural feature of irreversible cell injury?
1. Formation of phagolysosomes
2. Formation of amorphous densities in the mitochondrial matrix
3. Formation of blebs in plasma membrane
4. Detachment of ribosomes from rough

Correct answer: 2. Formation of amorphous densities in the mitochondrial matrix

Explanation: Ans. B: Formation of amorphous densities in the mitochondrial matrixIrreversible cell injuryAfter the initiation of irreversible death, the cell and its organelles start to disintegrate, leading to rupture of the cells.Gradually, the cytotoxic edema starts to resolve and interstitial edema develops as the cell membranes disintegrate and the intracellular components become extracellular.This results in increased Brownian water motion and marked reduction in diffusion restriction.The neuronal death result in reduction of its markers (NAA)